According to "rule of nines", burns involving perineum are:
1. 1%
2. 9%
3. 18%
4. 27%

Correct answer: 1. 1%

Explanation: Ans. A: 1% Rule of 9's for Adults: 9% for each arm, 18% for each leg, 9% for head, 18% for front torso, 18% for back torso 1% for perineum Rule of 9's for Children: 9% for each arm, 14% for each leg, 18% for head, 18% for front torso, 18% for back torso Lund-Browder diagrams improve the accuracy of the % TBSA for children. Palmar hand surface is approximately 1% TBSA